Best prenatal treatment CAH is
1. Betamethasone
2. Prednisolone
3. Hydrocortisone
4. Dexamethasone

Correct answer: 4. Dexamethasone

Explanation: Prenatal diagnosis of CAH is possible with chorion villus sampling at early weeks of pregnancy using DNA probes

The 17-OHP level in the amniotic fluid is elevated
Prenatal therapy with dexamethasone or termination of pregnancy is the option